In a small child diagnosed with H. influenza meningitis, What investigation must be done before discharging him from the hospital ?
1. BERA
2. MBI
3. CT scan
4. X-ray skull

Correct answer: 1. BERA

Explanation: Residual auditory defect is common complication after Haemophilus meningitis ,so BERA is the investigation of choice Ref Ghai pediatrics eighth edition pg no 564